In infont brought with stridor, He is diagnosed as laryngomalavo, Following things seen, except
1. Stridor will be inspiratory
2. Floppy AE folds
3. Hoarse acy
4. Prominent arytenouds

Correct answer: 3. Hoarse acy

Explanation: Laryngomalacia is supraglottic disease hence Hoovsness not seen.